Dysfunctional uterine bleeding is associated with:
1. Metropathia-haemorrhagica
2. Fibroid uterus
3. Endometriosis
4. Ovarian tumour

Correct answer: 1. Metropathia-haemorrhagica

Explanation: Metropathia-haemorrhagica